Genital ulcers are seen in all except
1. Hemophilus aegypticus
2. Hemophilus ducreyi
3. HSV
4. Chlamydia

Correct answer: 1. Hemophilus aegypticus

Explanation: Hemophilus ducreyi causes chancroid lesions or soft sore which is a venereal disease characterised by tender non-indurated irregular ulcers in the genitalia. HSV- Genital herpes is rapidly increasing venereal disease. In men, the lesions occur mainly on the penis or in urethra causing urethritis. In women, the cervix, vagina, vulva and perineum are affected. Chlamydia causes Genital Chlamydiosis. In men, they cause urethritis, epididymitis, proctitis etc. In women acute urethral syndrome, bartholinitis, mucopurulent cervicitis, endometritis, PID, etc. Hemophilus aegypticus causes Brazilian purpuric fever. Ref: Ananthanarayan& Paniker's textbook of microbiology, 9th edition. Pg no.330,331,469,420